Least desirable material for storing the tooth is:
1. Saliva
2. Water
3. Milk
4. HBSS

Correct answer: 2. Water

Explanation: Least desirable medium for storing tooth is WATER (hypotonic).